Vitamin B level in chronic myeloid leukemia is
1. Elevated'
2. Decreased
3. Normal
4. Markedly

Correct answer: 1. Elevated'

Explanation: Ans. is 'a' i.e., Elevated CML there will be rise in B1, level LDH level And decreased levels of ALP.